Which of the following is not seen in human body?
1. L-fucose
2. L-fructose
3. D-Glucose
4. D- Fructose

Correct answer: 2. L-fructose

Explanation: L-fructose is not seen in human body All sugars in our body are D-sugars. All amino acids in the human protein are L-amino acids. But there are exceptions. (L-sugar found in the human body, i.e. L-fucose.) L-Fucose : Methyl pentose Found in glycoproteins e.g. Blood group antigen.